Bleeding is seen with the use of -
1. Cefaloridine
2. Cefazolin
3. Moxalactum
4. Ceftazidime

Correct answer: 3. Moxalactum

Explanation: Ans. is 'c' i.e., Moxalactam o Ceftriaxone, cefoperazone, moxalactam & cefamandole can cause hypoprothrmbinemia and bleeding.